All are true about turners syndrome except
1. Gonads have high chance of developing gonadoblastoma if karyotype is 45 XO/ 46XY.
2. Bilateral streak gonads.
3. Subnormal intelligence quotient.
4. FSH and LH levels are increased.

Correct answer: 3. Subnormal intelligence quotient.

Explanation: Intelligence is normal in turners syndrome.